Which is the most common complication of GERD
1. Esophagitis
2. Strictures
3. Dental damage
4. Vocal cord damage

Correct answer: 1. Esophagitis

Explanation: Esophagitis is the most common complication